HHV-8 causes -
1. Burkitt's lymphoma
2. Nasopharyngeal carcinoma
3. Kaposi sarcoma
4. Hepatic carcinoma

Correct answer: 3. Kaposi sarcoma

Explanation: In 1994 DNA sequences presumed to represent a new herpesvirus were identified from tissues of Kaposi's sarcoma from AIDS patient. This has been naming HHV 8. This has been subsequently been identified also in Kaposi sarcoma in persons not infected with HIV. REF:ANATHANARAYAN AND PANIKER'S TEXTBOOK OF MICROBIOLOGY 8TH EDITION PAGE NO:477